Undisplaced fracture of zygoma is managed by
1. Closed reduction
2. Open reduction
3. No specific treatment
4. Wiring to frontal bone

Correct answer: 3. No specific treatment

Explanation: Zygoma is the second most common bone to be fractured after the nasal bone. Direct trauma is the usual cause. Treatment is required only for the displaced fractures. Open reduction and internal wire fixation is the best option.